Young's operation is done for-
1. Allergic rhinitis
2. Atropic rhinitis
3. Vasomotor rhinitis
4. Idiopathic rhinitis

Correct answer: 2. Atropic rhinitis

Explanation: Ans. is 'b' i.e., Atrophic rhinitis Treatment of atrophic rhinitiso It may be medical or surgicalMedical treatmento Nasal irrigation and removal of crusts by warm normal saline or warm nasal alkaline douche made up of sodium bicarbonatef sodium biborate and sodium chloride in water.o 25 % glucose in glycerine :Following removal of the crust the nose is painted with 25% glucose in glycerine.Glucose-Inhibits proteolytic organisms, Glycerine is a hygroscopic agent.o Other local antibiotics : Kemicetine antiozaena solution : 1 ml contains chloramphenicol (90 mg), estradiol dipropionate (0.64 mg), vit D2 (900 IU) and propylene glycol,o Potassium iodide : By mouth to increase the nasal secretion,o Human placental extract is given in the form of submucosal injections,o Other drugs :Rifampicin, Streptomycin to decreases the odour and crusts.Oestradiol spray to Tvascularity of nasal mucosa.Placental extract injected submucosally.Surgical treatmentYoung's operationo Closure of both the nostril following elevation of the nasal vestibular folds. They are opened after 6 months.Modified Young's operationo Partial closure of the nostril leaving behind a 3 mm hole,o This remains for a period of 2 years.Narrowing of the nasal cavity by (Lautenslagers operation) -o Submucosal injection of teflon pasteo Insertion of fat, cartilage, bone or teflon strips under the mucoperiosteum of floor & lateral wall of nose,o Section and medial displacement of lateral wall of nose.Lautenslagers operationo Surgical procedures aimed at medial izing the lateral nasal wall using substances like: Paraffin, teflon, Poly there cartilage.